An otherwise healthy male presents with a creamy curd like white patch on the tongue. The probable diagnosis is –
1. Candidiasis
2. Histoplasmosis
3. Lichen planus
4. Aspergillosis

Correct answer: 1. Candidiasis

Explanation: While creamy curd like patches over oral mucosa / tongue are characteristic of oral thrush.
Oral candidiasis (thrush) may be seen in otherwise healthy individuals but the occurance of thrush in such individuals should prompt an investigation for underlying HIV infection.